Which of the following is the treatment of choice for cryptococcal meningitis?
1. Fluconazole
2. Itraconazole
3. Flucytosine
4. Amphotericin B

Correct answer: 4. Amphotericin B

Explanation: Amphotericin B (AMB): Antifungal spectrum AMB is active against a wide range of yeasts and fungi-Candida albicans, Histoplasma capsulatum, Cryptococcus neoformans, Blastomyces dermatitidis, Coccidioides immitis, Torulopsis, Rhodotorula, Aspergillus, Sporothrix, etc. Dermatophytes are inhibited in vitro, but concentrations of AMB attained in infected skin are low and ineffective. It is fungicidal at high and static at low concentrations. Resistance to AMB during therapy has been rarely noted among Candida in a selected group of leucopenic cancer patients, but it is not a problem in the clinical use of the drug. AMB is also active on various species of Leishmania. ESSENTIALS OF MEDICAL PHARMACOLOGY K.D.TRIPATHI SIXTH EDITION PAGE NO:757,758